IFN beta stimulated by:
1. Bacterial infection
2. Viral infection
3. Fungal infection
4. Mycoplasma infection

Correct answer: 2. Viral infection

Explanation: Interferons are species specific which inhibit the viral protein synthesis and there secretions are stimulated by viral infections. INTERFERONS SECRETORY CELLS IFN -alpha Leucocyte IFN-beta Fibroblast IFN-gamma T-lymphocytes